Which of the following is an example of clean contaminated wound?
1. Cholecystectomy
2. Appendicular perforation
3. Inguinal hernia surgery
4. Mastectomy

Correct answer: 1. Cholecystectomy

Explanation: Wounds Class Definition I: Clean Uninfected operative wound without inflammation Respiratory, alimentary, genital or infected urinary tract is not entered Examples of Clean Wound Inguinal hernia Mastectomy Abdominal aortic aneurysm (AAA) repair II: Clean contaminated Operative wound in which respiratory tract GIT or genitourinary tract is entered under controlled condition without unusual contamination Exampled of Clean Contaminated Wound Cholecystectomy CBD exploration Elective GI surgeries (elective colonic resection, gastrectomy) III: Contaminated Open, fresh accidental wounds Operations with major break in sterile techniques Gross spillage from GIT Exampled of Contaminated Wound Spill during elective GI surgery Perforated gastric ulcer Appendicular perforation Penetrating abdominal trauma Enterotomy during bowel obstruction IV: Dirty Old traumatic wound with retained devitalized tissue Wound with clinical infection or perforated viscera with high degree of contamination. Organism causing post-op infection is already present in the wound before operation. Associated with severe inflammation Examples of dirty wound Perforated diverticulitis. Fecal peritonitis Nectotizing soft tissue infection.